All of the following are true regarding adverse effects of chlorpropamide except:
1. Sensitizes the kidney to ADH action
2. Less incidence of hypoglycemia
3. More incidence of weight gain
4. Disulfiram like reaction may occur

Correct answer: 2. Less incidence of hypoglycemia

Explanation: Ans. B: Less incidence of hypoglycemia Chlorpropamide is a long-acting sulphonylurea. It has more side effects than other sulphonylureas and its use is no longer recommended. Like other sulphonylureas, chlorpropamide acts to increase the secretion of insulin, so it is only effective in patients who have some pancreatic beta cell function. It can cause relatively long episodes of hypoglycemia; this is one reason why shorter-acting sulfonylureas such as gliclazide or tolbutamide are used instead. The risk of hypoglycemia makes this drug a poor choice for the elderly and patients with mild to moderate hepatic and renal impairment. Chlorpropamide and other sulphonylureas encourage weight gain, so they are generally not favored for use in very obese patients. Metformin is considered a better drug for these patients. Sulfonylureas should be avoided in patients with hepatic and renal impairment, patients with porphyria, patients who are breastfeeding, and patients with ketoacidosis. Not indicated for patients more than 65 years of age. It may cause facial flushing after the ingestion of alcohol. It may increase secretion of antidiuretic hormone (ADH), which can lead to hyponatremia.